Giant papillary conjunctivitis is most commonly seen in:
1. Allergic response to MTB
2. Soft contact lens
3. Intacs
4. Rigid gas permeable lens

Correct answer: 2. Soft contact lens

Explanation: Giant Papillary conjunctivitis is a type of allergic inflammation affecting the superior tarsal conjunctiva Seen in soft contact lens user Etiology- d/t allergic reaction to antigens deposited on the surface of lens/prosthesis Soft hydropilic contact lens use Chronic hypoxia beneath the upper lid Mechanical irritation of the lid from lens movement Reaction to lens solution preservatives Immunological reaction to deposits on the surface of the lens Signs- Conjunctival congestion in upper palpebral region with polygonal papillae (0.3-1mm- Macropapillae, >1mm Giant papilae) Mx- discontinue contact lens use Antihistamines, artificial tears